Drug the choice for hyperthyroidism in first trimester of pregnancy is
1. Methimazole
2. Propylthiouraril
3. Carbimazole
4. Perchlorate

Correct answer: 2. Propylthiouraril

Explanation: Propylthiouracil is the only thioamide which is least teratogenic and hence it is the drug of choice to hyperthyroidism in pregnancy and lactation.